Cause of Farmer's lung –
1. Cotton dust
2. Grain dust
3. Sugarcane dust
4. Iron

Correct answer: 2. Grain dust

Explanation: Farmer's lung is caused by Hay or grain dust.